In lead poisoning lead deposition is seen on a radiograph at?
1. Epiphyseal region
2. Metaphyseal region
3. Diaphyseal region
4. Any of the above

Correct answer: 2. Metaphyseal region

Explanation: Ans BLead lines are caused by increased calcification due to disrupted metabolism in the growing bones, become wider as the duration of lead exposure increases. Metaphysis is the most metabolically active part of the bone hence seen at this site.